The castability of chromium-cobalt base metal alloys when compared to gold based noble metal alloys is
1. More
2. Less
3. Equal
4. Depends on the alloy type

Correct answer: 2. Less